All of the following vitamins are antioxidants EXCEPT:
1. Beta carotene
2. Vitamin B
3. Vitamin C
4. Vitamin E

Correct answer: 2. Vitamin B

Explanation: Ans. (b) Vitamin BRef: K. Park 23rded. 1626* Antioxidants are substances which are both nutrients and non-nutrients.* These anti-oxidants reduce the toxic effects of reactive oxygen species and nitrogen species which are generated during physiological or pathological conditions and result in oxidant damage* Vitamins which acts as antioxidants are remembered as ACE: vitamin A, C and E* Other vitamins which acts as anti-oxidants are: Selenium, Glutathione* Non-nutrient products that also act as anti-oxidants are: Plant phenols, Flavonoids, Coumarins, caffeic, benzyl isothiocyanates, gallic and ellagic acid.* Vitamin B is not an anti-oxidant.